Apple jelly nodules on the nasal septum are found in cases of ?
1. Tuberculosis
2. Syphilis
3. Lupus Vulgaris
4. Rhinoscleroma

Correct answer: 3. Lupus Vulgaris

Explanation: Ans. is 'c' i.e., Lupus vulgaris Lupus vulgaris It is an indolent and chronic form of tuberculous infection. Female to male ratio is 2:1. Most common site is the mucocutaneous junction of the nasal septum, the nasal, vestibule and the ala. Characteristic Feature is the presence of apple- jelly nodules (Brown gelatinous nodules) in skin. Lupus can cause perforation of cartilaginous part of nasal septum. Confirmation is by Biopsy